Ashley's rule is used to :
1. Determine age using sternum
2. Determine sex using sternum
3. Determine age using mandible
4. Determine sex using mandible

Correct answer: 2. Determine sex using sternum

Explanation: Ashley's rule States that male sternum lenth will be more than 149mm and female sternum lenth will be less than 149mm.